Premature closure of foramen ovale results is :
1. Underdeveloped right atrium
2. Right ventricular hypertrophy
3. Left ventricular hypertrophy
4. Pulmonary stenosis

Correct answer: 2. Right ventricular hypertrophy

Explanation: B i.e., Right ventricular hypertrophyBefore birth, foramen ovale allows most of the oxygenated blood entering the right atrium from inferior vena cava to pass into left atrium & prevents the opposite direction flow because the septum primum closes against relatively rigid septum secundum. After birth foramen ovale closes functionally and approximately at 3 months of age valve fuses with the septum secundum forming oval fassa. Premature closure leads to right ventricular hypertrophyQ